True about complication of massive blood transfusion is/are all except -
1. Hyperkalemia
2. Alkalosis
3. Acidosis
4. Hypercalcemia

Correct answer: 4. Hypercalcemia